Which of the following statements regarding diaphragm are true? (a) The crura join to form the lateral arcuate ligament. (b) The fascia overlying the psoas muscle is thickened and gives origin to the diaphragm. (c) The IVC passes through the posterior diaphragmatic openings. (d) The aorta enters the thorax anterior to the crura. (e) The eosphagus passes through the muscular part of the diaphragm in the region of the right crus.
1. (a)(c)(d) True & (b)(e) False
2. (b)(e) True & (a)(c)(d) False
3. (a)(c)(e) True & (b)(d) False
4. (b)(c)(d) True & (a)(e) False

Correct answer: 2. (b)(e) True & (a)(c)(d) False

Explanation: The median arcuate ligament is a tendinous structure in the midline. The lateral arcuate ligament is fascia overlying the quadratus lumborum muscles. The IVC pierces the central tendinous part of the diaphragm and is patent in all phases of respiration. It is the most anterior of the three openings. The aorta passes posterior to the median arcuate ligament in the retrocrural space.